Full thickness skin graft is also known as
1. Wolfes graft
2. Thiersch graft
3. Thieme graft
4. Fernandez graft

Correct answer: 1. Wolfes graft

Explanation: Ans. is 'a' i.e., Wolfes graft Skin grafts* Full thickness (Wolfes graft) - it includes all epidermis and dermis.* Partial thickness (Thiersch graft) - it includes all epidermis and part of dermis.Partial thickness graftVsFull thickness graft* Partial thickness grafts are thin therefore uptake of graft is easy (easy survival)* Uptake is difficult because of thickness, (less chances of survival)* Large grafts could be taken as the donor site has been left with a part of dermis which will cause easy regeneration of epidermis* Small grafts could be taken as the donor site does not have epidermal or dermal remnants to allow epithelialization as in a paritial thickness graft.* Split thickness graft will contract upto 40% thus not useful for cosmetic surgeries* There is very minimal contraction making it suitable for cosmetic surgeries on face.* The donor site will heal well without any contraction, and is reusable* The donor site will have to be closed primarily or left open to granulate and contract.